Which of the following is NOT a branch of Facial Artery?
1. Superior labial Artery
2. Inferior labial Artery
3. Lateral nasal Artery
4. Sublingual Artery

Correct answer: 4. Sublingual Artery

Explanation: Sublingual Artery is a branch of lingual artery which is a branch of external carotid artery. The branches of the facial artery are: Cervical Ascending palatine artery Tonsillar branch Submental artery Glandular branches Facial Inferior labial artery Superior labial artery Lateral nasal branch to nasalis muscle Angular artery- the terminal branch